Disease spread by hard tick is:
1. Rocky mountain spotted fever
2. Epidemic typhus
3. Murine typhus
4. Scrub typhus

Correct answer: 1. Rocky mountain spotted fever

Explanation: Ans. A: Rocky mountain spotted fever Hard Tick-borne diseases of concern include: Human Babesiosis is a protozoan infection that occurs infrequently. Babesiosis also have Lyme disease from the same deer tick bite. Rocky Mountain spotted fever. Tularemia is a potentially serious illness. It is caused by the bacterium rodents, rabbits, and hares). Viral hemorrhagic fever Tick paralysis Colarado tick fever Viral encephalitis